The Principal site of acidification of urine is :
1. Distal convoluted tubule
2. Proximal convoluted tubule
3. Loop of Henle
4. Collecting duct

Correct answer: 4. Collecting duct

Explanation: D i.e.Collecting ductAcidification of tubular fluid occurs in distal nephron, particularly the collecting duct, (CD).